ATT most commonly implicated in causing peripheral neuropathy is
1. Rifampicin
2. Pyrazinamide
3. INH
4. Ethambutol

Correct answer: 3. INH

Explanation: INH Peripheral neuritis and a variety of neurological manifestations Paraesthesia Numbness Mental disturbances Rarely convulsions Refer KDT 6/e p741